Gastric emptying is decreased by all of the following EXCEPT:
1. Protein breakdown products
2. CCK
3. Enterogastric reflexes
4. Gastrin

Correct answer: 4. Gastrin

Explanation: Acidity of the chyme, hyper- or hypo-osmolarity of the duodenal contents, irritation of the duodenal mucosa, protein or fat breakdown products in duodenum are the factors sensed by the duodenal receptors. Gastric emptying will then be decreased, by a combination of neural and hormonal signals. Neural signals would be enterogastric reflexes in the ENS; they are triggered by the acidic chyme in the duodenum. Hormonal signals would be in the form of CCK, Secretin, G.I.P. released from duodenal mucosa. Fat in the duodenum is very potent inhibitor of gastric emptying; it causes CCK release. Hormonal factors decrease the gastric motility and cause constriction of pyloric sphincter. Other effects include: fundic relaxation, inhibition of antral motor activity. Gastrin, in physiological amounts, is known to increase gastric motility.